In sickle cell anemia, replacement is -
1. Val by glu in β6
2. Glu by val in β6
3. Hist val β8
4. 6α

Correct answer: 2. Glu by val in β6

Explanation: In sickle cell anemia glutamate is replaced by valine at position 6 of β-chain.